Dysthymia is ?
1. Chronic depression
2. Chronic mania
3. Bipolar disorder
4. Personality disorder

Correct answer: 1. Chronic depression

Explanation: Ans. A. Chronic depressionPersistent depressive disorder (Dysthymia)Depression may run a chronic course over years with fluctuation of mood interposed with symptom free intervals (less than 2 months).If symptoms persist for more than 2 years, they are referred to as persistent depressive disorder or dysthymia.